Which of the following is the most common side effect of Cisapride?
1. Arrythmias
2. Constipation
3. Diarrhoea
4. Convulsion

Correct answer: 3. Diarrhoea

Explanation: Cisapride is a prokinetic drug and the most common side effect associated with its use are abdominal cramps, borborygmi and diarrhea. Cisapride is a non selective serotonin 5HT4 agonist and partial 5HT3 agonist, it acts by increasing acetylcholine release from myenteric neurons.